In burnt bones, the following can be detected -
1. Arsenic
2. Lead
3. Organophosphorus compound
4. None of the above

Correct answer: 1. Arsenic